Which of these can cause 3
rd
 nerve paralysis -a) Posterior communicating artery (PCA) aneurysmb) Tolosa - Hunt syndromec) Midbrain infarctd) Pons Infarcte) Lateral medullary lesion
1. abc
2. bc
3. acd
4. bcd

Correct answer: 1. abc

Explanation: Causes of occulornotor nerve paralysis

Infarct, haemorrhage, demyelination, infection, tumor.
Aneurysm ofposterior communicating artery & basilar artery.
Aneurysm, infarct, compression, tumor, meningitis.
Internal carotid artery aneurysm, carotid-cavernous fistula, cavernous sinus thrombosis, tumors (pituitary adenoma, meningioma, metastasis), herpes zoster, Tolosa-hunt syndrome.
Infarction of nerve e.g. diabetes, giant cell arteritis.